Which of the following is the hallmark of chronic renal failure?
1. Metabolic acidosis
2. Hypercalcemia
3. Hypokalemia
4. Increased proneness to hypoxia

Correct answer: 1. Metabolic acidosis

Explanation: Metabolic acidosis (Ref: Robbin's 7th Ed/Pg 961) Manifestations of chronic renal failure: I. Fluid & electrolyte 1. Dehydration 2. Edema 3. Hyperkalemia 4. Metabolic acidosis II. Calcium, Phosphate, & bone 1. Hyperphosphatemia 2. Hypocalcaemia 3. Secondary hyperparathyroidism 4. Renal osteodystrophy III. Hematologic 1. Anemia 2. Bleeding disorders IV. Neuromuscular 1. Myopathy 2. Peripheral neuropathy 3. Encephalopathy V. Dermatological 1. Yellow colour 2. Pruritis 3. Dermatitis